Color of diphtheretic membrane is -
1. Grey
2. White
3. Yellow
4. Cream

Correct answer: 1. Grey

Explanation: Ans. is 'a' i.e., Grey